Elevated serum ferritin, decreased serum iron and % transferring saturation are most consistent with the diagnosis of
1. Iron deficiency anemia
2. Thalassemia
3. Anemia of chronic disease
4. Sideroblastic anemia

Correct answer: 3. Anemia of chronic disease

Explanation: Answer is C (Anemia of chronic disease) Decreased Serum Iron Levels, Decreased Transferrin Saturation and Increased Serum Ferritin Levels are typical features of Anemia of Chronic Disease.